Hilar dance on fluoroscopy is seen in
1. ASD
2. VSD
3. PS
4. TR

Correct answer: 1. ASD

Explanation: . Ghai essential of pediatrics, eighth edition p.no:413 hilar dance on fluoroscopy due to vigorous pulmonary artery pulsations seen in ASD